Potato tumor is a tumor of
1. Carotid body
2. Sternocleido mastoid muscle
3. Carotid sinus
4. None of the above

Correct answer: 1. Carotid body